In acoustic neuroma all are seen except:
1. Loss of corneal reflex
2. Tinnitus
3. Facial palsy
4. Bitemporal hemianopia

Correct answer: 4. Bitemporal hemianopia

Explanation: (d) Bitemporal hemianopia(Ref. Cummings, 6th ed., 2750)Bitemporal hemianopia is loss of right and left temporal side of visual fields. It is due to lesions of optic chiasm which is not seen in acoustic neuroma.